HLA is located on-
1. Short arm of chr-6
2. Long arm of chr-6
3. Short arm of chr-3
4. Long arm of chr-3

Correct answer: 1. Short arm of chr-6

Explanation: Harshmohan textbook of pathology 7th edition HLA gene located on short arm of chromosome no 6. These genes occupy 4 regions ABCD and exhibit marked variation in allelic gene at each locus .therefore the product of HLA antigen is highly polymorphic. .